Side-effects of captopril are all except -
1. Cough
2. Hyperkalemia
3. Renal dysfunction
4. Hemolytic anemia

Correct answer: 4. Hemolytic anemia

Explanation: Ans. is 'd' i.e., Hemolytic Anemia